Which of the following colonic polyps has no risk far malignancy
1. Juvenile polyps
2. Hamartomatous polyps associated with Peutzjegher's syndrome
3. Juvenile polyposis syndrome
4. Familial adenomatous polyposis syndrome

Correct answer: 1. Juvenile polyps

Explanation: .Juvenile Polyps * Commonest polyp of colorectum in infants and children. * Can cause intussusception, prolapse through rectum, bleeding.* Colonoscopic polypectomy is done. * Not a pre-malignant condition. PEUTZ-JEGHER'S POLYP is common in small intestine (jejunum) * Features are multiple, familial, hamartomatous intestinal polyps. * Asssociated with melaenosis of the oral mucosa, lips (lower lip) and occasionally digits (not in tongue). * Microscopically it contains tree like branching filaments of mucosa with smooth muscle wall. * It can occasionally turn into malignancy FAMILIAL ADENOMATOUS POLYP (FAP) * It is inherited as an autosomal dominant neoplastic condition (chromosome no. 5 * It is familial with a high potential for malignant transformation. ref:SRB's manual of surgery,ed 3,pg no 834